Bone within bone appearance is feature of?
1. Fibrous Dysplasia
2. Osteopetrosis
3. Osteogenesis Imperfecta
4. Osteoporosis

Correct answer: 2. Osteopetrosis

Explanation: - Bone within Bone Appearance is seen in Osteopetrosis other causes of bone within bone appearance is: Sickle cell disease osteomyelitis Caffey disease Bone healing hypervitaminosis D Pagets disease acromegaly